Pancreatitis may be produced by which of the following drugs?
1. Colchicine
2. L- asparagine
3. Ciprofloxacin
4. Nalidixic acid

Correct answer: 2. L- asparagine

Explanation: Exposure to certain drugs is the third most common frequent cause of pancreatitis after gallstones and alcohol. Drugs associated with pancreatitis: Definitive cause 5- Aminosalicylate 6- Mercaptopurine Azathioprine Cytosine arabinoside Dideoxyinosine Diuretics Estrogens Furosemide Metronidazole Pentamidine Tetracycline Thiazide Trimethoprim - sulphamethoxazole Valproic acid Probable cause Acetaminophen a- Methyl- DOPA Isoniazid L- asparagine Phenformin Procainamide Sulindac Ref: Sabiston 18/e, Page 1595